Substance utilized for barium meal follow through study:
1. Barium carbonate
2. Barium sulphate
3. Barium oxide
4. Barium hydroxide

Correct answer: 2. Barium sulphate

Explanation: Ans. B: Barium sulphate Since there is no natural contrast in the alimentary tract, its radiographic demonstration required the use of artificial contrast medium Barium sulphate, through which X-rays can not pass, is the contrast universally employed in performing alimentary tract studies